D.I.C. is seen in -
1. Acute promyelocytic leukemia
2. Acute myelomonocytic leukemia
3. CMC
4. Autoimmune hemolytic anemia

Correct answer: 1. Acute promyelocytic leukemia

Explanation: Ans. is 'a' i.e. Acute promyelocytic leukemia o Disseminated intravascular coagulation is associated with promyelocytic leukemia